All of the following drugs cause discolouration of urine EXCEPT :
1. Nitrofurantoin
2. Digoxin
3. Azo dyes
4. Rifampicin

Correct answer: 2. Digoxin